Separation of cells on basic of specific antigen receptors is done by?
1. Enzyme based
2. Electrophoresis
3. Flow cytometry
4. G-banding

Correct answer: 3. Flow cytometry